Most important in causing coronary artery disease (CAD) is
1. HDL
2. LDL
3. VLDL
4. Triglycerides

Correct answer: 2. LDL

Explanation: LDL

LDL concentration in blood has a positive correlation with the incidence of cardiovascular diseases.
LDL-cholesterol is deposited in vessels and promotes atherosclerosis.
Therefore, LDL is called 'bad cholesterol' or 'lethally dangerous lipoprotein (LDL)'.